Which of the following is not a ureidopenicillin?
1. Piperacillin
2. Mezlocillin
3. Azlocilllin
4. Flucloxacilline

Correct answer: 4. Flucloxacilline